Simple face mask (Hudson mask) can deliver maximum FiO2 of:-
1. 0.6
2. 0.4
3. 0.8
4. 1

Correct answer: 1. 0.6

Explanation: Simple facemask/ 'Hudson' mask These devices are used very commonly. They are variable performance devices and the maximum inspired oxygen concentration that can be achieved with these devices is up to 60%, but this is very dependent on the oxygen flowrate and the patient's respiratory pattern. The mask has side holes which are designed to allow indrawing of room air during inspiration